Which of the following is important in calculation of pearl index
1. Number of abortions
2. Total accidental pregnancies
3. Socioeconomic status
4. Total gestational period

Correct answer: 2. Total accidental pregnancies

Explanation: Pearl index is defined as the number of failures per 100 woman years of exposure (HWY) Failure rate per Hundred Women Years = Total accidental pregnancies X 1200/ Total months of exposure Reference : Park's textbook of preventive and social medicine, 23rd edition, Page no: 510